Goals of national population policy are all except
1. Achieve 100% registration of births, deaths, marriage and pregnancy
2. Bring down TFR to replacement level by 2015
3. Decrease IMR to below 30 per 1000 live births
4. Reduce MMR to below 100 per 100000 live births

Correct answer: 2. Bring down TFR to replacement level by 2015

Explanation: National population policy The National Socio-Demographic Goals to be achieved by the year 2010 were as follows : (1) Address the unmet needs for basic reproductive and child health services, supplies and infrastructure. (2) Make school education upto the age 14 free and compulsory, and reduce drop-outs at primary and secondary school levels to below 20 per cent for both boys and girls. (3) Reduce infant mortality rate to below 30 per 1000 live births. (4) Reduce maternal mortality ratio to below 100 per 100,000 live births. (5) Achieve universal immunization of children against all vaccine preventable diseases. (6) Promote delayed marriage for girls, not earlier than age 18 and preferably after 20 years of age. (7) Achieve 80 per cent institutional deliveries and 100 per cent deliveries by trained persons. (8) Achieve universal access to information/counselling, and services for fertility regulation and contraception with a wide basket of choices. (9) Achieve 100 per cent registration of births, deaths, marriage and pregnancy. (10) Contain the spread of Acquired Immunodeficiency Syndrome (AIDS), and promote greater integration between the management of reproductive tract infections (RTI) and sexually transmitted infections (ST!) and the National AIDS Control Organization. (11) Prevent and control communicable diseases. (12) Integrate Indian Systems of Medicine (ISM) in the provision of reproductive and child health services, and in reaching out to households. (13) Promote vigorously the small family norm to achieve replacement levels of TFR. (14) Bring about convergence in implementation of related social sector programmes so that family welfare becomes a people centred programme. Ref : Park 25th edition Pgno : 564